FDA approved drug for HIV is
1. Ivacaftor
2. Apalutamide
3. Ibalizumab
4. Eculizumab

Correct answer: 3. Ibalizumab

Explanation: Ibalizumab was approved by FDA in 2018 for the treatment of HIVRef: